An infant presented with failure to thrive, stridor, otitis media and esophagitis. What is the most probable diagnosis?
1. Tracheoesophageal fistula
2. Hypertrophic pyloric stenosis
3. Duodenal atresia
4. Gastroesophageal reflux disease

Correct answer: 4. Gastroesophageal reflux disease

Explanation: GERD
In infants presents with esophagitis, failure to thrive, obstructive apnea, stridor, otitis media, sinustis.